Pappenheimer bodies are
1. Ribosomal inclusions
2. Iron deposits
3. Denatured Hemoglobin
4. DNA remnants

Correct answer: 2. Iron deposits

Explanation: Pappenheimer bodies are Iron deposits in siderocytes. (RBCs).
It is seen in sideroblastic anemia, hemolytic anemia, sickle cell disease.